Virulence factor of group A beta hemolytic streptococci:-
1. Protein M
2. Protein T
3. Protein R
4. Lipotechoic acid

Correct answer: 1. Protein M

Explanation: Option 1 2 3 Cell wall antigens: Inner thick peptidoglycan layer (confers cell wall rigidity, induces inflammatory response and has thrombolytic activity) C-carbohydrate antigen: Present as middle layer and is group specific Outer layer of protein (M, T, R) and lipoteichoic acid (helps in adhesion) M protein - Major virulence factor of S pyogenes Option 4 Outer layer of lipoteichoic acid (helps in adhesion)